Mallory bodies are composed of
1. Fat droplets
2. Mitochondria
3. Lysosomal enzymes
4. Intermediate filaments

Correct answer: 4. Intermediate filaments

Explanation: Refer Robbins page no 843